Surgery of choice for chronic acquired dacryocystitis-
1. Dacryocystorhinostomy
2. Dacryocystectomy
3. Conjunctivo-cystorhinostomy
4. None

Correct answer: 1. Dacryocystorhinostomy

Explanation: It should be the operation of choice as it re-establishes the lacrimal drainage Ref: ak khurana 6th edition pg no395